Olfactory region in nose is
1. Below inferior trubinate
2. Above superior turbinate
3. Between middle & inferior trubiate
4. None

Correct answer: 2. Above superior turbinate

Explanation: Olfactory region in nose is above superior turbinate.The skin covering the nose is thin and loosely attached to the underlying structures, hence freely mobile.Over the apex and alae it is thicker and more adherent and contains large sebaceous glands, their orifices are usually very distinct. The hypertrophy of these sebaceous glands gives rise to a lobulated tumor the rhinophyma.